Hand and foot syndrome is an adverse effect of :
1. 5–Fluorouracil
2. Bleomycin
3. Etoposide
4. Actinomycin D

Correct answer: 1. 5–Fluorouracil